Excessive sexual desire in males is known as:
1. Nymphomania
2. Satyriasis
3. Tribadism
4. Sadism

Correct answer: 2. Satyriasis

Explanation: Satyriasis is the condition of excessive sexual desire in males Excessive sexual desire in females is known as nymphomania. Tribadism/Lesbianism - sexual intercourse between two female partners. Sadism -Type of sexual perversion in which person obtain sexual gratification by beating/assaulting/humiliating other partner. DSM-5 defines sexual sadism as the recurrent & intense sexual arousal from the physical and psychological suffering of another person. Minimum duration required for diagnosis is 6 months (DSM-5).